Most common site of genitourinary tuberculosis:
1. Kidney
2. Ureter
3. Bladder
4. Urethra

Correct answer: 1. Kidney